Rotavirus infection is diagnosed by the presence of -
1. Antigen in stool by ELISA
2. Virus in stool
3. Antigen in blood
4. AB

Correct answer: 4. AB

Explanation: daignisis of rota virus by drminstration if virus instool&antigenic group by ELISA REF:ANATHANARAYANAN MICROBIOLOGY NINTH EDITION PAGE.561